During the lag phase of bacterial growth curve, there is:
1. Increase in number
2. Increase in metabolic rate
3. Decrease in size
4. Decreased metabolic rateq

Correct answer: 2. Increase in metabolic rate

Explanation: The growth cycle of bacteria has four major phases: The first is the lag phase, during which vigorous metabolic activity occurs but cells do not divide. This can last for a few minutes up to many hours. The log (logarithmic) phase is when rapid cell division occurs. The log phase is also known as the exponential phase. The stationary phase occurs when nutrient depletion or toxic products cause growth to slow until the number of new cells produced balances the number of cells that die, resulting in a steady state. The final phase is the death phase, which is marked by a decline in the number of viable bacteria. Ref: Levinson W. (2012). Chapter 3. Growth. In W. Levinson (Ed), Review of Medical Microbiology & Immunology, 12e.